Staphylococcal scalded skin syndrome is caused by -
1. Hemolysin
2. Coagulase
3. Enterotoxin
4. Epidermolytic toxin

Correct answer: 4. Epidermolytic toxin

Explanation: Exfoliative (epidermolytic) toxin is responsible for staphylococcal scalded skin syndrome.